Myelofibrosis leading to a dry tap on bone marrow aspiration is seen with which of the following condition -
1. Burkitt's lymphoma
2. Acute erythroleukemia
3. Acute megakaryocytic leukemia
4. Acute myelomonocytic leukemia

Correct answer: 3. Acute megakaryocytic leukemia

Explanation: Ans. is 'c' i.e., Acute megakaryocytic leukemia